Thrombopoietin is produced by-
1. Monocytes
2. Liver
3. Megakaryocytes
4. Megakaryoblasts

Correct answer: 2. Liver

Explanation: *Thrombopoietin is present in the blood as well as in a bound state with the platelets. It also binds with the megakaryocytes. It is produced by the liver and the kidneys. * When thrombocytopenia (reduction in platelet count) occurs, thrombopoietin level in blood rises. This helps the megakaryocytes in producing new platelets rapidly.